A child is presenting with erythematous follicular papules on the trunk. There are areas of normal skin within the lesions. There is thickening of Palms & soles. This child is suffering from -
1. Pityriasis rosea
2. Pityriasis rubra pilaris
3. Psoriasis
4. Seborrheic dermatitis

Correct answer: 2. Pityriasis rubra pilaris